Most common form of Nocardial respiratory tract infection is ?
1. Laryngitis
2. Pharyngitis
3. Tonsilitis
4. Pneumonia

Correct answer: 4. Pneumonia

Explanation: Ans. is 'd' i.e.,Pneumonia Nocardia are 'gram positive' `acid fast' filaments. Nocardia are strict aerobes and partially urease and catalase positive. Since nocardiae are among the few aerobic microorganism that use paraffin as a carbon source, paraffin baiting can be used to isolate the organism from mixed culture.